The 'catalytic triad' in the active centre of proteases contains the following amino acids?
1. Ser, Lys, Arg
2. Ser, His, Asp
3. His, Phe, Trp
4. None of the above

Correct answer: 2. Ser, His, Asp

Explanation: A catalytic triad is a group of three amino acids that are found in the active sites of some proteases involved in catalysis.In chymotrypsin, the catalytic triad is made from serine, histidine, and aspartate.Harper 30th edition pg: 93